Which is the best method of central tendency that is used to show quantitative variable:
1. Mean
2. Median
3. Mode
4. Box and whisker

Correct answer: 1. Mean

Explanation: Ans. (a) MeanRef: K. Park 23rd ed. / 847-88* Best measure of central tendency: MEAN* Best measure of central tendency for NOMINAL data: MODE* Best measure of central tendency for ORDINAL data: MEDIAN* Best measure of central tendency foe metric/quantitative data: MEAN